Formaldehyde gas sterilization is employed for?
1. Sterilizing heart lung machines
2. Glass materials
3. Paper and cloth
4. Fumigation of operation theater

Correct answer: 4. Fumigation of operation theater

Explanation: Formaldehyde gas is used for sterilising instruments and heat sensitive catheters and for fumigating wards and sick rooms and laboratories REF:Ananthanarayan and Panicker's Textbook ofMicrobiology 8thEdition pg no:36